The nucleus involved in Alzheimer's disease is -
1. Basal nucleus of Mayernet
2. Raphe nucleus
3. Superior salivary nucleus
4. Basal lobe of cerebellum

Correct answer: 1. Basal nucleus of Mayernet

Explanation: Alzheimer disease 

Alzheimer disease (AD) is the most common cause of dementia in the elderly.
Alzheimer's disease is associated with a decrease in cerebral cortical levels of Acetylcholine.
Reduction of Acetylcholine is related to degeneration of cholinergic neurons that project to many areas of cortex.
This degeneration occurs in the nucleus basalis of Mayernet.